A male infant presented with distension of abdomen shortly after birth with passing of less meconium. Subsequently a full-thickness biopsy of the rectum was performed. The rectal biopsy is likely to show:
1. Fibrosis of submucosa
2. Lack of ganglion cells
3. Thickened muscularis propria
4. Hyalinization of the muscular coat

Correct answer: 2. Lack of ganglion cells

Explanation: b. Lack of ganglion cells(Ref: Nelson's 20/e p 1894-1897, Ghai 8/e p 285-286)"Whenever neonate presents with delayed passage of stool, Hirschsprung's disease should be suspected".